According to Bismuth strasberg classification of the bile duct injury, causing occlusion of a branch of biliary tree would be which type
1. Type A
2. Type B
3. Type C
4. Type D

Correct answer: 2. Type B

Explanation: Strasberg classification of Laparoscopic Biliary injuries Type A- Bile leaks from minor ducts still in continuity with the CBD Includes leakage from cystic duct stump and from a subvesical duct of Luschka. MC cause of biliary leaks seen after cholecystectomy. Type B- Occlusion of a part of the biliary tree, almost always an aberrant right sectoral duct Type C- Transection without ligation of an aberrant right sectoral duct. Type D- A lateral injury to an extrahepatic duct. Type E- Includes biliary strictures, divided into E1 to E5 as classified by Bismuth Ref: Sabiston 20th edition Pgno :1502